All are ECG findings in Wolf Parkinson's white syndrome, except -
1. Narrow QRS complexes
2. Normal QT interval
3. Slurred and tall QRS
4. Short PR interval

Correct answer: 1. Narrow QRS complexes